Blood supply of posterior compartment of thigh is -
1. Superior gluteal artery
2. Inferior epigastric artery
3. Profunda femoris artery
4. Internal iliac artery

Correct answer: 3. Profunda femoris artery

Explanation: Ans. is 'c' i.e., Profunda femoris artery o Profunda femoris artery is the largest branch of femoral artery and supplies all three compartments of thigh (anterior, medial and posterior). It arises from the lateral side of femoral artery about 4 cm below the inguinal ligament. The profunda femoris gives of following branches :i) Medial circumflex femoralMajor supply to the head of femur.ii) Lateral circumflex femoral.iii) Four perforating arteries 2nd perforating artery gives nutrient artery to femur.o Besides profunda femoris, some blood supply to posterior thigh comes from -i) Inferior gluteal artery (in upper part)ii) Popliteal artery (in lower part)